Bleomycin toxicity is characterized by hyperplasia of-
1. Endothelial cells
2. Type I pneumocytes
3. Type II pneumocytes
4. Alveolar macrophages

Correct answer: 3. Type II pneumocytes

Explanation: Ans. is 'c' i.e., Type II pneumocytes